The characteristic problem in females taking nor-ethisterone is
1. Irregular bleeding
2. Thromboembolism
3. Hirsutism
4. Weight gain

Correct answer: 1. Irregular bleeding

Explanation: Norethisterone acetate is commonly used as an injectable steroid - 'NET-EN'
It is a progesterone based contraceptive like DMPA and its side effect are similar to those of DMPA.
The most frequent side effect is irregular bleeding.
NET-EN is given in doses of 200 mg at 2 monthly intervals.

Extra Edge: Combined injectable contraceptive.